HMG-CoA reductase is inhibited by:
1. Cholestyramine
2. Gemfibrozil
3. Lovastatin
4. Clofibrate

Correct answer: 3. Lovastatin